In blow out fractures which of the following is seen
1. EnophthaLmos
2. Exophtholmos
3. Bulbar hemorrhage
4. None

Correct answer: 1. EnophthaLmos